Sigmund Freud gave various defense mechanisms. Which of the following is not a mature defense mechanism?
1. Humor
2. Projection
3. Asceticism
4. Altruism

Correct answer: 2. Projection

Explanation: Ans. B. ProjectionAll of the others are mature defenses. Anticipation is goal directed and involves realistic anticipation or planning for future inner discomfort. Suppression involves the conscious postponement of attention to a conscious impulse or conflict. Altruism uses constructive and instinctually satisfying service to others to undergo a vicarious experience. Asceticism involves the assignment of value to specific pleasure and is directed against all base pleasures.